Skin of dorsum of first web space of foot is supplied by
1. Sural nerve
2. Saphenous nerve
3. Deep peroneal nerve
4. Lateral plantar nerve

Correct answer: 3. Deep peroneal nerve

Explanation: DEEP PERONEAL:- Muscular branches to muscles of anterior compartment of leg:Tibialis anterior, extensor hallucis longus, extensor digitorum longus, and peroneus tertius.Extensor digitorum brevis Cutaneous: dorsal digital nerves for adjacent sides of big toe and second toe.Articular branches:Ankle joint, tarsal joints, tarsometatarsal joints and metatarsophalangeal joint of big toe. {Reference:BDC 6E vol2 pg166 }